Which of the following is an intermediate level disinfectant?
1. Glutaraldehyde
2. Quaternary ammonium compound
3. Hydrogen peroxide
4. Iodophores

Correct answer: 4. Iodophores

Explanation: Intermediate level disinfectants are chemicals which can kill microbial pathogens including mycobacteria and non enveloped virus, but not the spores. Examples include alcohol, phenolic compounds and iodophors. Glutaraldehyde and hydrogen peroxide are high level disinfectants. Quaternary ammonium compounds are low level disinfectants.